true about TRIAD congenital rubella syndrome
1. PDA, cataract and deafness is seen
2. Hepatosplenomegaly, intellectual disability, deafness
3. Chorioretinitis, multiorgan failure, pneumonitis
4. None of these

Correct answer: 1. PDA, cataract and deafness is seen

Explanation: Answer: A. PDA, cataract and deafness is seenCongenital rubella syndrome (CRS) can occur in a developing fetus of a pregnant woman who has contracted rubella, usually in the first trimester. If infection occurs 0-28 days before conception, the infant has a 43% risk of being affected.Infection in 2nd trimester - may be deafness only.>6 wks - no major abnormalitiesDiagnosis: Isolation of virus in cell cultures of throat samples, urine or other secretions.Detection of IgM in single serum sample shortly after birth.Persistance of Rubella IgG antibodies serum beyond 1 year or rising antibody titer anytime during infancy in an unvaccinated child